All are branches of the thyrocervical trunck except
1. Inferior thyroid artery
2. Suprascapular artery
3. Superficial cervical artery
4. Superior thyroid artery

Correct answer: 4. Superior thyroid artery

Explanation: The superior thyroid artery arises from the front of the external carotid artery just below the tip of greater cornu of the hyoid bone.The thyrocervical trunk is a branch of the subclavian artery and its branches are the inferior thyroid artery, superficial cervical artery, and suprascapular artery.Reference: Textbook of anatomy, Head neck, and brain, Vishram Singh, 2nd edition, page no.235-237